Muddy appearance of iris is seen in?
1. Glaucoma
2. Iridocyclitis
3. Persistent pupillary membrane
4. Iris cyst

Correct answer: 2. Iridocyclitis

Explanation: Ans. (b) IridocyclitisRef. Parson's 22/e, p. 122, 236In anterior uveitis (Iridocyclitis) the pupil is constricted, its reactions are sluggish, and the delicate pattern of the iris, instead of being clear and sharphy defined, becomes blurred and indistinct ('muddy' iris)